All are true about SVC (superior vena cava syndrome) except:
1. Malignant lymphoma is the leading cause of SVC syndrome in elderly pts
2. Widening of superior mediastinum is seen on chest radiograph
3. Present with dilated neck veins & increased number of collateral veins covering the anterior chest wall.
4. None of the above

Correct answer: 1. Malignant lymphoma is the leading cause of SVC syndrome in elderly pts

Explanation: SUPERIOR VENA CAVA (SVC) SYNDROME MC cause is lung cancer (Small cell and squamous cell carcinoma) along with lymphoma and metastatic tumors responsible for more than 90% of all SVC syndrome. In young adults, malignant lymphoma is the leading cause of SVC syndrome. Characteristic physical findings are dilated neck veins, increased number of collateral veins covering the anterior chest wall, cyanosis, and edema of the face, arms & chest. Diagnosis Most significant chest radiographic finding is widening of the superior mediastinum (MC right side) CT Scan: Investigation of choice.